True regarding breath holding spells are all EXCEPT:
1. Antiepileptic treatment is necessary
2. Atropine is sometimes used
3. Attacks of cyanosis can occur
4. Occurs between 6 months to 5 years age

Correct answer: 1. Antiepileptic treatment is necessary

Explanation: BREATH HOLDING SPELLS: --> Behavioral problem, usually affects boys b/w 6 months - 3 yrs of age. Results from immaturity of ANS. --> Triggers: Injury, anger, frustration --> Sequence of events is typical: Child first has long cry --> then, holds his breath --> turns blue & limp --> may be followed by tonic & few clonic movements. --> 2 types PALLID- caused by reflex vagal bradycardia & asystole CYANOTIC - due to prolonged expiration, apnea, intrapulmonary shunting of blood --> Treatment: Parental Reassurance; Treatment of co-existing Iron deficiency anemia Anti-epileptics are usually not indicated for its treatment.